Brush burn is a:
1. Linear abrasion
2. Pressure abrasion
3. Graze abrasion
4. Contusion

Correct answer: 3. Graze abrasion

Explanation: Ans. (c) Graze abrasionRef: The Essentials of FSM by K.S. Narayan Reddy 31st ed. /166-67* Brush burn or friction burn is seen in graze abrasion.* Produced when broad surface of skin slides against rough surface.